A male aged 60 years has foul breath; He regurgitates food that is eaten 3 days ago: Likely diagnosis is:
1. Zenkers diverticulum
2. Meckels diverticulum
3. Scleroderma
4. Achalasia cardia

Correct answer: 1. Zenkers diverticulum

Explanation: An aged patient with symptoms of foul breath & regurgitation of food which is eaten 3 days ago, it is a typical presentation of Zenker's diverticulum. Ref: CSDT, 11th Edition, Pages 480, 1330.